Arrange the following tumors according to the increasing age they affect. 1. Ewings sarcoma 2. Osteosarcoma 3. Osteoclastoma 4. Multiple Myeloma
1. 2-3-1-4
2. 1-2-3-4
3. 4-2-1-3
4. 1-2-4-3

Correct answer: 2. 1-2-3-4

Explanation: AGE Tumors 1st Decade Ewing's sarcoma (Can be 5-20 years), Unicameral Bone Cyst Retinoblastoma Rhabdomyosarcoma Metastasis from Neuroblastoma 2nd Decade Osteosarcoma (Can affect all ages) Aneurysmal Bone Cyst Giant cell tumor (20-40 years-classical is 30 years) Adamantinoma Enchondroma After 40Yrs Multiple myeloma >Chondrosarcoma.